Both antibody dependent and independent pathway converge on which complement component.
1. C3
2. C5
3. C1q
4. C8

Correct answer: 1. C3